Most common molluscum virus-
1. 1
2. 2
3. 3
4. 4

Correct answer: 1. 1

Explanation: There are four types of molluscum contagiosum virus, MCV-1 to MCV-4.
MCV-1 is the most prevalent.
MCV-2 is seen usually in adults and often sexually transmitted.